Not true about Montoux test
1. PPD RT-23 with tween 80 used as strain
2. Result is seen after 3 weeks
3. > 9mm induration is taken as positive
4. Type IV Hypersensitivity

Correct answer: 2. Result is seen after 3 weeks